Complications of Colles' fracture are all except
1. Malunion
2. Non union
3. Sudeck's dystrophy
4. Rupture of extensor policis longus

Correct answer: 2. Non union

Explanation: B i.e. Nonunion